Fusion of teeth is more common in
1. Primary dentition
2. Permanent dentition
3. Mixed dentition
4. None of the above.

Correct answer: 1. Primary dentition